Quinine given to a patient of falciparum malaria caused sweating and palpitation, the likely cause is?
1. Cinchonism
2. Hyperglycemia
3. Hypoglycemia
4. Hypokalemia

Correct answer: 3. Hypoglycemia

Explanation: Ans. is 'c' i.e., Hypoglycemia o Sweating and palpitations suggest hypoglycemia; which can occur due to quinine. Cinchonism is characterized by ringing in ears, nausea, vomiting, vertigo, headache, mental confusion, difficulty in hearing and vision. Hypotension and cardiac arrhythmias develop on rapid i.v. injection.